All are true about supernumerary tooth except
1. May have resemblance to normal teeth
2. Disto molars doesn't resemble any other tooth
3. Mesiodens is the most common supernumerary tooth
4. More common in mandible

Correct answer: 4. More common in mandible